Rapid diagnostic test for gram negative bacterial Meningitis is
1. CSF - Latex agglutination
2. Nasopharyngeal swab culture
3. CSF - Culture
4. Limulus amebocyte lysate assay

Correct answer: 4. Limulus amebocyte lysate assay

Explanation: Limulus amebocyte lysate reacts with bacterial endotoxin lipopolysaccharide, which is a membrane component of gram - negative bacteria.